Which of the following is not a channelopathy?-
1. Cystic fibrosis
2. Liddle's syndrome
3. Tay-sachs disease
4. Hypokalemic periodic paralysis

Correct answer: 3. Tay-sachs disease

Explanation: Channelopathies are diseases caused by the disturbed function of ion channel subunits or the proteins that regulate them. Tay-Sachs disease is a GM2 gangliosidosis caused by the deficiency of enzyme hexosaminidase, subunit.